A patient was on antiepileptics. Hirsutism, coarsening of facial features, gingival hypertrophy is noted in the patient. The epileptic could be
1. Phenytoin
2. Valproic acid
3. Ethosuximide
4. Lamotrigine

Correct answer: 1. Phenytoin

Explanation: Long-term use of phenytoin is associated with untoward cosmetic effects (e.g., hirsutism, coarsening of facial features, gingival hypertrophy) and effects on bone metabolism. Due to these side effects, phenytoin is often avoided in young patients who are likely to require the drug for many years.Ref: Harrison 19e 2552